Chemically aspirin is
1. Acetyl salicylic acid
2. Para-aminosalicylic acid
3. Para-aminobenzoic acid
4. Acetaminophen

Correct answer: 1. Acetyl salicylic acid

Explanation: Ans. is 'a' i.e., Acetyl salicylic acid